Most common anal carcinoma is-
1. Basal cell carcinoma
2. Sq. cell carcinoma
3. Melanoma
4. Adenoma

Correct answer: 2. Sq. cell carcinoma

Explanation: Ans. is 'b' i.e., Sq. cell carcinoma o Mainly 3 types of malignant neoplasm are seen in anal canal:Squamous cell Ca (MC)Basal cell Ca (Ilnd me)MelanomaRemember# MC type of rectal & colon Ca - Adenocarcinoma.